Ceruminous glands present in the ear are
1. Modified eccrine glands
2. Midified apocrine glands
3. Mucous gland
4. Modified holocrine glands

Correct answer: 2. Midified apocrine glands

Explanation: Th e ceruminous glands secrete the wax of the ear. Th ey are modifi ed sweat glands lined by a columnar, cuboidal or squamous epithelium. REF : Inderbir Singh's Textbook of Human Histology,Seventh edition, pg.no.,412.